Which of the following drugs is not useful in the management of Postpartum Hemorrhage(PPH)?
1. Mifepristone
2. Misoprostol
3. Oxytocin
4. Ergotamine

Correct answer: 1. Mifepristone

Explanation: Mifepristone is a progestin analogue and it blocks the effects of progesterone. It is used as a medical termination of pregnancy in the first trimester and as a post-coital contraceptive. While misoprostol, oxytocin and ergotamine are oxytocics and as uterine stimulants are used in the management of postpartum hemorrhage. Ref: Dutta textbook of Obstetrics 6th edition, Pages 175, 550, 411-22